a 2 year old child is brought to th er with h/o fever and vomiting.o/e hehas neck rigidity .the csf report shows 2000/ml protien 100mg/dl the gram stain shows the presence of gram negtive bacilli the culture shows growth of bacteria only on choclate agar and not on blood agar the causative agent is :
1. neisseria mengitidis
2. heamophilus influenzae
3. bordotella pertusis
4. streptococcus pyogens

Correct answer: 2. heamophilus influenzae

Explanation: Haemophilus Influenzae Mode of Transmission: Droplet infection and discharge from the upper respiratory tract during the infectious period. Incubation Period Unknown, probably short, 2-4 days. Infectious Period - As long as the organism is present, even in the absence of nasal discharge. - Noninfectious within 24 to 48 hours after the start of effective Haemophilus influenza type b Medical Management * Hospitalization required * Treatment with an effective 3rd generation cephalosporin, or chloramphenicol plus ampicillin * Ampicillin-resistant strains now common throughout the United States ref : ananthanaryana 9th ed